A troubled youth has a long history of gasoline sniffing.For the above patient with a toxic ingestion or exposure, select the most likely clinical effect.
1. combines with cytochromes and catalase to block hydrogen and electron transport, thus producing tissue asphyxia
2. methemoglobinemia
3. vertigo, hyperventilation, tinnitus, and deafness
4. bone marrow depression

Correct answer: 4. bone marrow depression

Explanation: Benzene is associated with bone marrow depression. Benzene is present to some extent in most gasolines, and poisoning may result from ingestion or vapors. Acute benzene poisoning can cause severe CNS symptoms such as blurred vision, tremors, shallow and rapid respiration, ventricular irregularities, paralysis, and loss of consciousness.